In vitreous base detachment, vitreous body is detached from its attachment with the:
1. Optic disc
2. Ora-Serrata
3. Posterior surface of the lens
4. Fovea centralis

Correct answer: 2. Ora-Serrata

Explanation: Ans. Ora-Serrata